A drug used for noninfectious uveitis in LUMINATE clinical trial program :
1. Steroid/Infliximab
2. Cyclosporin
3. Methotrexate
4. Voclosporin

Correct answer: 4. Voclosporin

Explanation: Friends, it is very unfortunate that AIIMS people are asking such type of questions. How can a medical student be expected to know about the trials about a drug which we are sure even many ophthalmology residents are not aware of. So we will suggest just to remember the answer and do not go for details.
The LUMINATE (Lux Uveitis Multicenter Investigation of a New Approach to Treatment) clinical development program was initiated in 2007 to assess the safety and efficacy of voclosporin for the treatment, maintenance, and control of all forms of noninfectious uveitis.